The drug of choice in choriocarcinoma is :
1. Methotrexate
2. Actinomycin–D
3. Vincristine
4. 6–Thioguanine

Correct answer: 1. Methotrexate